All of the following can cause hearing loss except -
1. Measles
2. Mumps
3. Chickenpox
4. Rubella

Correct answer: 3. Chickenpox

Explanation: “The most common postnatal cause of acquired SNHL is meningitis, while the most common prenatal cause is intrauterine infection (eg TORCH infections, syphilis, mumps, measles)”.